A 35 year old man has eaten and completely metabolized approximately 80g of protein, 20g of fat, and 150g of carbohydrate. Approximately how much energy (in kilocalories) will be released as a result of the complete oxidation of these compounds?.
1. 1.1
2. 11
3. 110
4. 1100

Correct answer: 4. 1100

Explanation: The energy released in the complete oxidation of 1 gram of carbohydrate, fat, and protein is respectively 4.1, 9.3, and 4.1 kcal. Quick calculation with approximate round values gives: 80*4+20*9+150*4=320+180+600=1100 Ref: Bender D.A., Mayes P.A. (2011). Chapter 43. Nutrition, Digestion, & Absorption. In D.A. Bender, K.M. Botham, P.A. Weil, P.J. Kennelly, R.K. Murray, V.W. Rodwell (Eds), Harper's Illustrated Biochemistry, 29e